Commonest infantile testicular tumour is -
1. Seminoma
2. Teratoma
3. Yolk sac tumor
4. Dysgerminoma

Correct answer: 3. Yolk sac tumor

Explanation: Most common tumor of testis → Seminoma.
Most common tumor of testis in childhood → yolk sac tumor (endodermal sinus tumor or infantile embryonal carcinoma).